Pit latrine has depth of----feet –
1. 2–4
2. 4–6
3. 10-Jun
4. 10–12

Correct answer: 4. 10–12